Acute chest syndrome is caused by?
1. Sickle cell anemia
2. Pneumonia
3. Acute myocardial infarction
4. Penetrating chest tratuma

Correct answer: 1. Sickle cell anemia

Explanation: Acute chest syndrome in sickle cell anemia is a distinctive manifestation characterised by chest pain,tachypnea,fever,cough,and arterial oxygen desaturation.It can mimic pneumonia,pulmonary embolism,bone marrow infarction and embolism,myocardial ischemia,or insitu lung infarction.Pulmonary infarction and pneumonia are the most frequent underlying or concomittant conditions in patients with this syndrome. Ref:Harrison's medicine-18th edition,page no:855.